Serum ACE may be raised in all of the following except;
1. Sarcoidosis
2. Silicosis
3. Berylliosis
4. Bronchogenic carcinoma

Correct answer: 4. Bronchogenic carcinoma

Explanation: Answer is D (Bronchogenic carcinoma) : CE levels are not elevated in Bronchogenh. carcinoma.